Score 0-0.4 in Dean's index indicates
1. Negative mottling
2. Slight mottling
3. Moderate mottling
4. Severemottling

Correct answer: 1. Negative mottling